Management of a 5 cm dermoid cyst which has undergone torsion at 10 weeks of pregnancy is:
1. Wait and watch
2. Removal in 2nd trimester
3. Immediate removal
4. Serial USG monitoring

Correct answer: 3. Immediate removal

Explanation: Ans. is c, i.e. Immediate removalRef: COGDT 11/ed, page 24Thus female is presenting with ovarian cyst at 10 weeks and the cyst has undergone torsion.Whenever a cyst undergoes torsion or any other complication, it should be removed immediately.